Dactylography is a:
1. Surest sign of identification
2. Probable sign of identification
3. Presumptive sign of identification
4. Doubtful sign of identification

Correct answer: 1. Surest sign of identification

Explanation: Fingerprint identification is one of the surest method of identification and no two persons have identical fingerprints. Dactylography also known known as finger print system consists of talking impression of the pulp of the fingers and thumb with printers ink on an unglazed white paper. Fingerprints of even identical twins are different. Chances of two persons having identical fingerprints is about one in thirty times the population of the world. Fingerprints are classified into 4 groups. Fingerprints are classified in 4 groups loops (67%), whorls (25%), arches and composite form. Ref: Concise Textbook Of Forensic Medicine & Toxicology By Sharma 2nd edn page 19. Criminal Evidence By Jefferson L. Ingram page 640.